Nerve most commonly injured in Mcburney's incision:
1. Subcostal
2. Iliohypogastric N
3. 11th thoracic
4. Ilioinguinal

Correct answer: 2. Iliohypogastric N

Explanation: Ans. (b) Iliohypogastric NRef: Bailey and Love 26th edition, Page 1214* Most common nerve injured in McArthur grid iron incision is Iliohypogastric nerve